All are examples of primary prevention except
1. Cholera prophylaxis
2. Marriage counseling
3. PNDT act
4. Self Breast examination

Correct answer: 4. Self Breast examination

Explanation: Ans: d (Self breast examination)Ref: Park, 20th ed. Pg. 39, 336 19 ed,, Pg. 38-39Screening technique for breast cancer include breast self examination, palpation by a physician, thermography and mammography. So breast self examination comes under secondary prevention and not primary prevention.Primordial prevention - Prevention of emergence or development of risk factors in countries or population groups in which they have not yet appeared. In primordial prevention efforts are taken to discourage children from adopting harmful lifestyle. The main intervention is through mass and individual education.Primary prevention - Defined as the action taken prior to the onset disease, which removes the possibility that a disease will ever occur, i.e., intervention in pre pathogenesis period. Modes intervention are Health promotion and specific protection, (Immunization, chemoprophylaxis)Secondary prevention - Defined as the actions which halt the progress of a disease at its incipient stage and prevent complications. The specific intervention is early diagnosis (screening and adequate treatment).Screening technique for breast cancer include breast self examination, palpation by a physician, thermography and mammography. So breast self examination comes under secondary prevention and not primary prevention.Tertiary prevention - Defined as all measures available to reduce or limit impairment and disabilities. It signifies intervention in late pathogenesis phase, include disability limitation and rehabilitation.PNDT act is an act for the prohibition of sex selection, before or after conception, and for regulation of pre-natal diagnostic techniques for the purposes of detecting genetic abnormalities or metabolic disorders or chromosomal abnormalities or certain congenital malformations or sex-linked disorders and for the prevention of their misuse for sex determination leading to female foeticide; and, for matters connected therewith or incidental thereto.